Which of the following is a direct branch of Inferior mesenteric artery?
1. Superior rectal artery
2. Middle rectal artery
3. Inferior rectal artery
4. Inferior epigastric artery

Correct answer: 1. Superior rectal artery

Explanation: Ans. A Superior rectal arteryRef: Gray's, 41st ed. pg. 1088, 1138Branches of Inferior Mesenteric Artery* Left colic artery: supplies descending colon* Sigmoid artery: supplies sigmoid colon* Superior rectal artery: terminal branch of IMA* Marginal branchesNote* Middle rectal artery: branch of internal iliac artery (anterior branch)* Inferior rectal artery: branch of internal iliac artery* Inferior epigastric artery: branch of external iliac artery